Loud S1 in Mitral stenosis is caused by:
1. Prolonged flow through mitral valve
2. 1st degree heart block
3. Calcification of the valve
4. Immobilization of valve

Correct answer: 1. Prolonged flow through mitral valve

Explanation: Answer is A (Prolonged flow through mitral valve) Loud SI in mitral stenosis results from prolonged AV flow through the mitral vain `S1 is louder irt fAV flow is prolonged because of mitral stenosis' -- Harrison Reduced mobility of valve (Immobility, calcification), and Prolonged PR interval (1st degree block) are all causes of soft S1. Note: First degree block is characterized by prolonged PR interval.